Ventricles of brain are lined by -
1. Ependymocytes
2. Astrocytes
3. Oligodendrocytes
4. Podocydes

Correct answer: 1. Ependymocytes

Explanation: Ans. is 'a' i.e., Ependymocyteso Ventricles of brain are lined by ependyma (ependymocytes).Ventricles of braino These are cavities in the brain lined by ependymal and filled with CSF.o They contain choroid plexuses which secrete CSF.o These are four fluid filled intercommunicating cavities within the brain Two lateral ventricles (right and left),Third ventricle, andFourth ventricle.o Lateral ventricle communicates with third ventricle by interventricular foramen (foramen of Monro).o Third ventricle communicates with fourth ventricle by cerebral aqueduct (aqueduct of sylvius).o Fourth ventricle communicates with subarachnoid space by a median foramen (Magendie) and two lateral (Luschka) foramen.